Commonest location of diaphragmatic (bochdalek) hernia in childrens is:
1. Retrosternal
2. Posterior and left
3. Posterior and right
4. Central

Correct answer: 2. Posterior and left

Explanation: Bochdalek hernia (involves an opening on the left side of the diaphragm) occur posteriorly and are due to a defect in the posterior attachment of the diaphragm when there is a failure of pleuroperitoneal membrane closure in utero. Retroperitoneal structures may prolapse through the defect, e.g. retroperitoneal fat, spleen or left kidney. Bochdalek hernias occur more commonly on the posterior left side (85%, versus right side 15%).Complications are usually due to pulmonary hypoplasia.In adults, incidentally-discovered posterior diaphragmatic hernias are rare. Of these, right-sided hernias are more common (68%), and more frequently in females.The great majority are small, with only 27% containing abdominal organs such as bowel, spleen or liver.Morgagni hernia - A Morgagni hernia involves an opening on the right side of the diaphragm. The liver and intestines usually move up into the chest cavity.